Which of the following is not true regarding trabeculoplasty?
1. Argon laser is used
2. Effect comes in few weeks
3. Useful in inflammatory glaucoma
4. Transient rise in Intra ocular pressure can be seen as complication

Correct answer: 3. Useful in inflammatory glaucoma

Explanation: Trabeculoplasty is not useful in inflammatory glaucoma. Trabeculoplasty Procedure of choice for treatment of open angle glaucoma. Indications Open angle glaucoma Pseudoexfoliative glaucoma Pigmentary glaucoma Argon laser is used for argon laser trabeculoplasty. Complications Transient rise of intraocular pressure. Transient inflammation.